All of the following drugs are useful in swine flu except
1. Oseltamivir
2. Peramivir
3. Zanamivir
4. Abacavir

Correct answer: 4. Abacavir

Explanation: Ans. (D) Abacavir(Ref: Harrison 19th/e p1214: Goodman Gilman 12th/e p1609, 1615; Katzung 12th/e p886, 887; KDT 8th/e p861)Abacavir is a NRTI used for HIV whereas all other drugs are given in the options are drugs used for bird flu and swine flu.